While doing surgery for meningioma, left paracentral lobule got injured. This will lead to paresis of:
1. Left face
2. Right neck and scapular region
3. Right leg and perineum
4. Right shoulder and trunk

Correct answer: 3. Right leg and perineum

Explanation: Para-central lobule present near the midline encroaching upon the medial surface of the hemisphere and is the continuation of the precentral and postcentral gyri. The paracentral lobule controls motor and sensory innervations of the contralateral lower limb and part of perineal region. It is also responsible for control of bladder and bowel (defecation and urination).